What is seen in neurogenic shock ?
1. Bradycardia and hypotension
2. Tachycardia and hypotension
3. Bradycardia and hypetension
4. Tachycardia and hypetension

Correct answer: 1. Bradycardia and hypotension

Explanation: Neurogenic shock is a distributive type of shock resulting in low blood pressure, occasionally with a slowed heart rate, that is attributed to the disruption of the autonomic pathways within the spinal cord. It can occur after damage to the central nervous system, such as spinal cord injury and traumatic brain injury. Ref -davidson 23rd edtion pg 1148